Percentage of patients with perforated peptic ulcer who show free gas under the diaphragm -
1. 100%
2. 75%
3. 50%
4. 90%

Correct answer: 2. 75%

Explanation: • Upright chest x-ray shows free air in about 80% of patients of perforated peptic ulcer.